Which factor is not freely circulating in blood?
1. Factor 9
2. Factor 10
3. Factor 12
4. Factor 3

Correct answer: 4. Factor 3

Explanation: D i.e. Factor 3Explanation:Coagulation factor III is a cell surface glycoprotein. This factor enables cells to initiate the blood coagulation cascades, and it functions as the high-affinity receptor for the coagulation factor VII.Clotting factors.Clotting factorsFactorNameDeficiency leads toIFibrinogenAfbrinogenemiaIIProthrombinHypoprothrombinemia(hemorrhagic tendency in liver disease)IIIThromboplastinOnly coagulation factor not found in the plasma*IVCalcium VProaccelerin, labile factorParahemophiliaVIIProconvertin, stable factorHypoconvertinemiaVIIIAntihemophilic factor (AHF), antihemophilic factor AHemophilia A (classic hemophilia)IXPlasma thromboplastic component (PTC), Christmas factor, antihemophilic factor BHemophilia B (Christmas disease)XStuart-Prower factorStuart-Prower factor deficiencyXIPlasma thromboplastin antecedent (PTA), antihemophilic factor CPTA deficiencyXIIHageman factor, glass factorHageman traitXIIIFibrin-stabilizing factor, Laki-Lorand factorAbnormal clot solubility